Which of the following structures move with deglutition?
1. Thyroglossal cyst
2. Subhyoid bursa
3. Pretracheal & Paratracheal nodes
4. All of the above

Correct answer: 4. All of the above

Explanation: Thyroid gland, thyroglossal cyst, pretracheal & para tracheal lymph nodes & subhyoid bursa move with deglutition.